Foci of granulomatous inflammation show all of the following except?
1. Eosinophils
2. Epithelioid cells
3. Fibrosis
4. Lymphocytes

Correct answer: 1. Eosinophils

Explanation: Ans- (a) EosinophilsRef: Robbiris pathology 9th ed. /97* A special form of chronic inflammation is seen in response to tissue invasion by Mycobacterium tuberculosis.* Macrophages and multinucleated giant cells accumulate about the organisms, and fibrous tissue form about these small focal lesions or tubercles.* This combination of macrophages and fibrosis is granulomatous inflammation.* Epithelioid cells and multinucleated Langhans giant cells are present. The former are derived from macrophages and the latter by cytoplasmic fusion of macrophages.* These lesions may heal by scarring and become calcified, or they undergo caseation necrosis.